Most accurate method of measuring radiation dose is:
1. Film badges.
2. Thermoluminescent dosimeter.
3. Ionization chamber.
4. All of the above.

Correct answer: 3. Ionization chamber.